Most ideal post pulpectomy material is:
1. ZOE
2. Gutta-percha
3. Metapex
4. All of the above

Correct answer: 3. Metapex

Explanation: Composition of METAPEX:
Iodoform, calcium hydroxide, oily additive.